α1- Antitrypsin deficiency is associated with -
1. Centriaciner emphysema
2. Panaciner-emphysema
3. Irregular emphysema
4. Paraseptal-emphysema

Correct answer: 2. Panaciner-emphysema